Edema in nephrotic syndrome occurs due to
1. Na+ and water restrictions
2. Increased venous pressure
3. Decreased serum albumin
4. Decreased fibrinogen

Correct answer: 3. Decreased serum albumin

Explanation: Ref Robbins 8/e p922;9/e p115